A 36 year–old factory worker developed itchy, annular scaly plaques in both groins. Application of a corticosteroid ointment led to temporary relief but the plaques continued to extend at the periphery.The most likely diagnosis is –
1. Erythema annulare centrifugum
2. Granuloma annulare
3. Annular lichen planus
4. Tinea cruiris

Correct answer: 4. Tinea cruiris

Explanation: Tinea cruiris is dermatophytic infection of groin. Presence of bilateral, annular scaly plaques in the groin, itching and unresponsiveness to steroids and peripheral extension, all suggest the diagnosis of Tinea cruris.